Stones that are common with infection is:
1. Struvite
2. Xanthine stone
3. Cysteine stone
4. Calcium oxalate stones

Correct answer: 1. Struvite

Explanation: Ans. (a) StruviteRef: Campbell Urology 1194* Struvite stones (Magnesium Ammonium Phosphate) occur only in association with urinary infection by urea -splitting bacteria. Proteus mirabilis the most common organism associated with infection.